Concentric hypertrophy of heart is associated ?
1. Systemic Hypertension
2. Mitral regurgitaion
3. Hypertrophic cardiomyopathy
4. Mitral stensis

Correct answer: 1. Systemic Hypertension

Explanation: Ans. is `a' i.e., Systemic hypertension